The most important constituent in soda lime for reabsorption of CO2 in a closed circuit
1. Sodium hydroxide
2. Barium hydroxide
3. Calcium hydroxide
4. Potassium hydroxide

Correct answer: 3. Calcium hydroxide

Explanation: Sodalime is most common Co2 absorbant . Indicators added to sodalime changes the color of sodalime . It contains 94% Ca(OH)2 , 5%NaOH,1% KOH.